All of the following statements about Kawasaki disease are true, Except:
1. Immunoglobulin are the treatment of choice
2. Prognosis is good
3. Thrombocytopenia
4. Elevated ESR

Correct answer: 3. Thrombocytopenia

Explanation: Answer is C (Thrombocytopenia) : Kawasaki disease is associated with thrombocytosis and not thrombocytopenia.